In Japanese Encephalitis, pigs acts as -
1. Amplifier
2. Definitive host
3. Intermediate host
4. Any of the above

Correct answer: 1. Amplifier

Explanation: Pigs acts as an amplifier host REF:
ANATHANARAYANAN MICROBIOLOGY NINTH EDITION PAGE.521(epidemiology)